Most common type of cell death due to sudden occlusion of blood suply-
1. Coagulation necrosis
2. Caseation necrosis
3. Liquefactive necrosis
4. Gangrene

Correct answer: 1. Coagulation necrosis

Explanation: Ans. is 'a' i.e., Cogulation necrosis